A black necrotic mass was seen in the nose of an elderly diabetic patient. The most probable diagnosis is?
1. Lupus vulgaris
2. Aspergillosis
3. Mucormycosis
4. Pseudomonas infection

Correct answer: 3. Mucormycosis

Explanation: The most probable diagnosis is mucormycosis which is a fungal infection of the nose and paranasal sinuses. It is seen in those on immunosuppressive therapy or those with uncontrolled diabetics. It is associated with rapid destruction due to the affinity of the fungus to arteries causing endothelial damage and thrombosis. A typical finding is the presence of a black necrotic mass filling the nasal cavity and eroding the septum and hard palate. Ref: Textbook of diseases of ENT; PL Dhingra; 7th edition, pg no. 178